Non-proliferative Glomerulonephritis include all of the following, except:
1. Focal Segmental Glomerulonephritis (FSGS)
2. Mesangiocapillary Glomerulonephritis
3. Membranous Glomerulonephritis
4. Amyloidosis

Correct answer: 2. Mesangiocapillary Glomerulonephritis

Explanation: Mesangiocapillary Glomerulonephritis is the other name for Membranoproliferative glomerulonephritis. It is a type of proliferative Glomerulonephritis. Ref: Harrison's Principles of Internal Medicine, 17th Edition, Page 1789; Concise Pathology By Chandrasoma P, Taylor C, 3rd Edition, Page 708; Robbin's Illustrated Pathology, 7th Edition, Pages 984-85